Which of these is not associated with Loeffler’s syndrome?
1. Toxocara
2. Strongyloides stercoralis
3. L. tryptophan
4. Giardiasis

Correct answer: 4. Giardiasis

Explanation: Loeffler’s syndrome causes are as follows:
• Ascaris
• Ancylostoma sp.
• Toxocara sp.
• Strongyloides stercoralis
• W bancrqfti or W malayi
• Trichomoniasis
• Clonorchiasis
• Visceral larva migrans, etc.